Dose of thiopentone used for induction is –
1. 1 mg/kg
2. 2 mg/kg
3. 5 mg/kg
4. 10 mg/kg

Correct answer: 3. 5 mg/kg